Bone marrow depression is seen with –
1. Halothene
2. N2O
3. Ether
4. Isoflurane

Correct answer: 2. N2O

Explanation: N2O can cause bone marrow depression and megaloblastic anemia (VitB12 deficiency).